Patient a known case off alcohol dependence after 12 to 18 hrs of last drink develops seizure for the first time in his life.possible diagnosis is
1. Delirium tremens
2. seizure disorder
3. Rum fits
4. wernickes encephalopathy

Correct answer: 3. Rum fits

Explanation: withdrawl symptoms are present due to alcohol withdrawl based on the time duration between the last drink and the presentation of symtoms withdrawls symptoms can be classified into many types it may be mild symptoms like tremore to seizure to life threatening symptoms like delirium tremens ref.Kaplon and Sadock, synopsis of Psychiatry, 11 th edition, pg no.625